Costochondral junction swelling are seen in -
1. Scurvy
2. Rickets
3. Chondrodystrophy
4. All of the above

Correct answer: 4. All of the above

Explanation: Ans. is 'd' i.e., All of the above